Shigellosis is best diagnosed by ?
1. Stool examination
2. Stool culture
3. Sigmoidoscopy
4. Enzyme

Correct answer: 2. Stool culture

Explanation: Ans. is `b' i.e., Stool culture Lab diagnosis "Diagnosis is made by isolating the bacillus from feces." . Transport media - Sach's buffered glycerol saline . Culture - Specimens are inoculated on : 1) MacConkey medium 2)Deoxycholate medium (DCA) --> Selective medium 3)Hektoen entric agar or salmonella-shigella agar --> Selective medium